Which of the following is/are not feature of anorexia nervosa:
1. Strict dieting
2. Hallucination
3. Amenorrhoea
4. Distortion of body image

Correct answer: 2. Hallucination

Explanation: Ans; B (Hallucination) Table 79-2 (Harrison 18th/638): Diagnostic Features of Anorexia NervosaRefusal to maintain body weight at or above a minimally normal weight for age and height. (This includes a failure to achieve weight gain expected during a period of growth leading to an abnormally low body weight.)Intense fear of weight gain or becoming fat.Distortion of body image (e.g... feeling fat despite an objectively low weight or minimizing the seriousness of low weight).Amenorrhea. [This criterion is met if menstrual periods occur only following hormone--e.g, estrogen--administration.)Table 79-l (Harrison 18th/637): Common Characteristics of Anorexia Nervosa, Bulimia Nervosa, and Binge Eating Disorder Anorexia Nervosa3Bulimia Nervos3Clinical characteristicsOnsetMid-adolescenceLate adolescence/ early adulthoodFemale: male10:110:1Lifetime prevalence1% of women1-3% of womenWeightMarkedly decreasedUsually normalMenstruationAbsentUsually normalBinge eatingh25-50%Required For diagnosisMortality~5% per decadeLowPhysical and laboratory findings1Skin/extremitiesLanugoCallus/abrasion on dorsum of hand AcrocyanosisEdema CardiovascularBradycardia Hypotension GastrointestinalSalivary gland enlargementSlow gastric emptyingConstipationElevated liver enzymesSalivary gland enlargementDental erosionHematopoieticNormochromic, normocytic anemiaLeukopenia Fluid/Electrolyteincreased BUN, creatinineHypokalemiaHypophosphatemia,HypomagnesemiaHypokalemiaHypochloremiaAlkalosisEndocrineHypoglycemiaLow estrogen or testosteroneLow LH and FSHLow-normalthyroxineNormal TSHIncreased cortisol BoneOsteopeniaPatients with anorexia nervosa who frequently induce purging may also exhibit the physical and laboratory findings associated with bulimia nervosa./Obese patients with binge eating disorder are at risk for complications of obesity,